A 5-year-old residential school child walks into your clinic with the habit of thumb sucking in association with bruxism. Chemical approach for reminder therapy is:
1. Ferrous oxide
2. Femite
3. Nail polish
4. Nail polish with flavor

Correct answer: 2. Femite

Explanation: Femite solution is primarily used to prevent topical infection over the skin. The active constituent of the medication is known to be the most bitter substance available. Just a few parts of it per million will make the product so bitter that children and pets would not be able to swallow it. The femite is applied in the thumb/finger which used in thumb/finger sucking.